Rosen's incision is used for
1. Septoplasty
2. SMR
3. Stapedectomy
4. Tonsillectomy

Correct answer: 3. Stapedectomy

Explanation: Rosen's incision is the most commonly used for stapedectomy. It requires the meatus and canal to be wide enough to work. It consists of two parts: A small vertical incision at 12 o'clock position near the annulus and A curvilinear incision starting at 6 o'clock position to meet the first incision in the posterosuperior region of the canals, 5-7 mm away from the annulus. Tympanomeatal flap is raised to expose the middle ear in endomeatal approach. Rosen's incision is used in the endomeatal approach for stapedectomy. It is also used for exploratory tympanotomy Re: Textbook of Ear, Nose and Throat, Dhingra, 6th Edition